Cat eye syndrome is
1. Partial trisomy 18
2. Partial trisomy 13
3. Partial trisomy 21
4. Partial trisomy 22

Correct answer: 4. Partial trisomy 22

Explanation: Cat eye syndrome:-Schmid Fraccaro syndrome Partial trisomy of chromosome 22. It is coined cat eye because of the particular appearance of the vertical colobomas in the eyes of some patients. Other features: 1. Anal atresia 2. Unilateral or bilateral iris coloboma 3. Downward slanting palpebral fissure. 4. Preauricular pits/ tags. 5. Cardiac defects 6. Kidney problems 7. Short stature 8. Intellectual disabilityi 9. Micrognathia 10. Cleft palate Reference: GHAI Essential pediatrics, 8th edition